Stimulus for Hering - Breuer's reflex of Respiration is
1. Tidal volume > 1000 ml
2. Tidal volume > 500 ml
3. Tidal volume < 500 ml
4. Tidal volume < 1000 ml

Correct answer: 1. Tidal volume > 1000 ml

Explanation: Stimulus for hering - Breuer's reflex is, when tidal volume increase 2 times more than normal i.e, Tidal volume > 1000 ml.